Midgut derivatives are supplied by?
1. Superior mesenteric artery
2. Inferior mesenteric artery
3. Celiac trunk
4. Anastomotic arcade of various arteries

Correct answer: 1. Superior mesenteric artery

Explanation: Midgut comprises the portion of the alimentary canal from the end of the foregut at the opening of the bile duct (major duodenal papillae) to the hindgut, about two-thirds of the way through the transverse colon. * superior mesenteric artery, an unpaired ventral branch of abdominal aorta, is the artery of midgut * inferior mesenteric artery, an unpaired ventral branch of abdominal aorta, is the artery of hindgut * celiac trunk, 1st unpaired ventral branch of abdominal aorta immediately below the aortic opening of diaphragm at the level of T12-L1 intervertebral disc -artery of foregut - from lower part of oesophagus to the middle of 2nd part of duodenum * anastomotic arcade of various arteries - as in duodenum where it is supplied by two rows of vasarecta (Reference : I B Singh's Embryology, 10th edition, pg 185)